Centrineuraxial anaesthesia is not contraindicated in:
1. Platelets <80.000
2. Patient on aspirin
3. Patient on anticoagulants
4. Raised intracranial pressure

Correct answer: 2. Patient on aspirin

Explanation: Ans: B (Patient on aspirin) Ref: Miller Textbook of Anaesthesia. 6th editionExplanationPatients on Single anti platelet drug is not a contraindication to central neuraxial blockade. whereas patients on multiple antiplatelet drugs are contraindicated for neuraxial anesthesia,Patients on Anticoagulants. Fibrinolytic agents and Thrombocytopenia (platelet count <80.000) are at risk of bleeding and neuraxial hematoma with a possibility of spinal cord compression. Such patients are contraindicated for neuraxial anesthesia.Patients with raised Intracranial pressure carry a risk of coning of the brainstem and death. Such patients are contraindicated for neuraxial anesthesia.Contraindications for Centrineuraxial AnesthesiaAnticoagulantsFibrinolytic agentsThrombocytopeniaRaised intracranial pressureMultiple antiplatelet drugs